Hypokalemic paralysis is a side effect of:
1. Gossypol
2. DMPA
3. Testosterone enanthate
4. Cyproterone acetate

Correct answer: 1. Gossypol

Explanation: Gossypol

It is a male contraceptive pill which contains-Disequilterpene aldeayde
Discovered in china from an extract of cottonseed.
Mechanism of action it inhibits spermatogenesis and decreases epididymal sperm motility.
Side effect - Hypokalemic paralysis in 1% patients

Other male hormonal contraceptives:
Testosterone enanthate injectable
Testosterone bucolate injectable